Masticator space infection usually results from:
1. Infections of the last two lower molar
2. Non aseptic technique in local anaesthesia
3. External or internal trauma to the mandibular angle region
4. All of the above

Correct answer: 4. All of the above